True regarding animals that are chronically exposed to cold?
1. Increased sympathetic stimulation
2. Increased vagal action
3. Increased insulin levels in blood Decrease
4. blood supply to adipose tissue

Correct answer: 1. Increased sympathetic stimulation

Explanation: A i.e. Increased sympathetic stimulation